Treatment of choice for choriocarcinoma:
1. Observation
2. Hysterectomy
3. Chemotherapy with Methotrexate
4. Radiotherapy

Correct answer: 3. Chemotherapy with Methotrexate

Explanation: Ans. C: Chemotherapy with Methotrexate Unlike other malignant lesions, the treatment of choriocarcinoma is mainly chemotherapy, both for the local and distant metastasis. Various combinations: MAC (Methotrexate, Actinomycin-D, Chlorambucil) M AA (Methotrexate/ Actinomvcin-D/ adriamycin)